Multiple regression analysis is applied to
1. Compare medians of two independent samples
2. Compare medians of several independent samples
3. Tests association between two categorical variables
4. Tests relation between dependent variable and several independent variables

Correct answer: 4. Tests relation between dependent variable and several independent variables